Laundosine is a toxic metabolite of
1. Atracurium
2. Pancuronium
3. Mivacurium
4. Vecuronium

Correct answer: 1. Atracurium

Explanation: Atracurium The unique feature of atracurium is inactivation in plasma by spontaneous nonenzymatic degradation (Hofman elimination) in addition to that by alkaline ester hydrolysisConsequently, its duration of action is not altered in patients with hepatic/renal insufficiency or hyperdynamic circulation - Preferred muscle relaxant for such patients as well as for neonates and the elderlyAtracurium is metabolized to laudanosine that is responsible for seizuresIt can cause histamine release - Hypotension & bronchoconstriction(Refer: Morgan and Mikhail's Clinical Anaesthesiology, 5th edition, pg no.216)